Which one of the following statements about the gap junction is true?
1. It extends as a zone around the apical perimeter of adjacent cells.
2. It possesses dense plaques composed in part of desmoplakins.
3. It permits the passage of ions from one cell to an adjacent cell.
4. Its adhesion is dependent upon calcium ions.

Correct answer: 3. It permits the passage of ions from one cell to an adjacent cell.

Explanation: The gap junction channel regulates the passage of ions and small molecules from cell to cell, excluding those having a molecular weight greater than 1200 Da. The tight junction is the zone of adhesion around the apical perimeter of adjacent cells. The other statements are characteristics of desmosomes.